Triangular shaped heart is a radiological finding of
1. Constrictive pericarditis
2. Mitral incompetence
3. TAPVC
4. Ebstein's anomaly

Correct answer: 1. Constrictive pericarditis

Explanation: Triangular shaped heart - Constrictive Pericarditis.
Pentagon shaped heart - Mitral incompetence.